Hot agglutinin is found in all except:
1. Mycoplasma infection
2. SLE
3. Methyl dopa
4. Rheumatoid arthritis

Correct answer: 1. Mycoplasma infection

Explanation: Mycoplasma infection is associated with cold agglutinin disease. Hence option 1 is wrong Conditions associated with Warm AIHA are: - Idiopathic - Auto-immune disorders - Malignancies - Drugs: Methyl Dopa Penicillin Quinidine